Di ethyl stilbesterol causes the following defects except
1. Renal anomalies
2. Perifimbrial cysts
3. T shaped uterus
4. Vaginal adenosis

Correct answer: 1. Renal anomalies

Explanation: Renal anomalies Di ethyl stilbesterol exposure in utero leads to varied anomalies of female Genital tract. But remember a simple FUNDA : "Unlike All other congenital uterine malformations the DES uterus is not associated with an increase in Renal Anomalies" Even if you don't remember all the anomalies caused by DES, just remember the above line and your MCQ will be solved. Anorm caused by DES : Benign vaginal adenosis Cervical hoods, septae, collars and cockscomb Uterine hypoplasia (most common uterine anomally associated with DES exposure) ...Novak 14/e, p 1287 T shaped uterus Wide lower segment Constriction bands in uterus Perifimbrial Paratubal cysts Vaginal clear cell adenocarcinoma (Rare).